In glycogen metabolism, a metabolically active important enzyme found in liver is converted from it's inactive dephosphorylated state to it's active phosphorylated state. Which of the following is true about this enzyme:
1. Phosphorylation sometimes activates the enzyme
2. Catecholamines directly stimulate it
3. More commonly seen in fasting state than in fed state
4. Always activated by cAMP dependent protein kinase

Correct answer: 3. More commonly seen in fasting state than in fed state

Explanation: The enzyme in concern in this question is Glycogen Phosphorylase: Glycogen Phosphorylase RLE of glycogenolysis Active in phosphorylated state. Phosphorylation always activates this enzyme. (option A is wrong) Catecholamines stimulate this enzyme through cAMP, not directly. (option B is wrong) Glycogenolysis is occurring in fasting state, not in fed state. CAMP activates this enzyme but Calcium & calmodulin directly activates this enzyme without phosphorylation and without cAMP. (option D is wrong as this enzyme is not always activated by cAMP).